All the following are the Non-contraceptive use of OCP's,  except
1. Carcinoma endometrium
2. Carcinoma breast
3. Rheumatoid arthritis
4. Endometriosis

Correct answer: 2. Carcinoma breast